If a person is asked, "what will he do if he sees a house on fire", Then what is being tested in that person
1. Social judgment
2. Test judgment
3. Response judgment
4. None of the above

Correct answer: 2. Test judgment

Explanation: Judgment refers to the person's capacity to make good decisions and act on them. Other question for test judgement includes "what will he do if he sees a stamped envelope on a sidewalk?" Reference: Kaplan & Sadock's Synopsis of Psychiatry: Behavioral Sciences/Clinical Psychiatry, 11th Edition, page 203.